Which among the following is the MOST common site of salivary gland calculi formation?
1. Parotid
2. Submandibular
3. Sublingual
4. Minor salivary glands

Correct answer: 2. Submandibular

Explanation: Submandibular salivary glands are the most common site for calculus formation. followed in frequency by parotid gland. Sublingual glands and minor salivary glands are rarely affected. Physiologic factors which contribute to stone formation are: Alkaline pH High calcium concentration Mucin content of saliva Submandibular salivary glands are the most common site for calculus formation. followed in frequency by parotid gland. Sublingual glands and minor salivary glands are rarely affected. Physiologic factors which contribute to stone formation are: Alkaline pH High calcium concentration Mucin content of saliva